Condition not responsive to medical therapy
1. Invasive mole
2. Choriocarcinoma
3. Hydatidiform mole
4. Persistent gestational trophoblastic disease

Correct answer: 3. Hydatidiform mole

Explanation: Ans. is'c' i.e., Hydatidiform moleIt is an abnormal condition o[ the placenta where there are partly degenerative and partly proliferative changes in the young chorionic villi.It is best regarded benign neoplasia of the chorion with rnalignant potential.Management: Suction evacuation